Glucose increases plasma insulin by a process that involves:
1. GLUT1
2. GLUT2
3. GLUT3
4. SGLT1

Correct answer: 2. GLUT2